All of the following statements about injury to common peroneal nerve are true, except
1. Commonly results from injury to the neck of fibula
2. Loss of sensations over sole of foot
3. Loss of toe dorsiflexion
4. Foot drop

Correct answer: 2. Loss of sensations over sole of foot

Explanation: COMMON PERONEAL NERVE:- Smaller terminal branch of sciatic nerve.Root value: dorsal division of ventral rami of L4,L5,S1,S2.Beginning: begins in back of thigh as a smaller subdivision of the sciatic nerve. Course: lies in upper lateral part of popliteal fossa. It turns around the lateral surface of the fibula. Then it lies in the substance of peroneus longus muscle.Terminates by dividing into two terminal branches- superficial and deep peroneal. Commonest nerve to be paralyzed.Causes of injury:1. Fracture neck of fibula.2. Lathi injury on lateral side of knee joint.3. Due to plaster on leg.- nerve get compressed between hard plaster and neck of fibula. To prevent this cotton must be placed on the upper lateral side of the leg. Effects of injury:-1. Motor loss: dorsiflexors and evertors of foot affected. Results in foot drop. Foot is plantar flexed due to paralysis of muscle of anterior compartment.2. Sensory loss: back of leg,lateral side of leg and dorsum of foot.3. Articular loss: lateral side of knee joint. {Reference: BDC 6E pg no.176}